A 23-year-old man presents with fever, weight loss, malaise, abdominal pain and myalgias. Workup reveals that the patient has polyarteritis nodosa. Which of the following is associated with this form of vasculitis?
1. Arsenic
2. Chlamydia pneumonia
3. Hepatitis B virus
4. Human immunodeficiency virus

Correct answer: 3. Hepatitis B virus

Explanation: Although the significance remains unclear, 30% of patients with polyarteritis nodosa have serum antibodies to the hepatitis B virus. Arsenic is associated with the development of angiosarcoma. Chlamydia pneumonia has been implicated in the development of atherosclerosis. KSHV, HHV-8, causes Kaposi sarcoma in individuals infected with human immunodeficiency virus.